A 17-year-old boy presents to you with sweating, yawning, lacrimation, tachycardia. His friends reported that he has been not attending college lately. The likely diagnosis is:
1. Heroin withdrawl
2. Cocaine withdrawl
3. LSD withdrawl
4. Marijuana withdrawal

Correct answer: 1. Heroin withdrawl

Explanation: Dysphoric mood, Nausea, Vomiting, Lacrimation, Muscle aches, dilated pupils, sweating, yawning, fever and insomnia are the symptoms of opioid withdrawal. Heroine is the commonest opioid misused. Withdrawal is due to reduced intake or abstinence following many weeks of continuous intake Ref: DSM IV : Diagnostic Criteria for Opioid Withdrawal